What is the most common cause of sudden death in sarcoidosis?
1. Pneumonia
2. Corpulmonale
3. Arrythmias
4. Liver failure

Correct answer: 3. Arrythmias

Explanation: Cardiac involvement occurs initially with inflammation and granuloma formation followed by scarring. The initial inflammation can lead to triggered ventricular arrhythmias with subsequent scarring resulting in the substrate for reentrant monomorphic ventricular tachycardia. Note Overall most common cause of death in sarcoidosis -- Respiratory Failure